pH of vagina in pregnancy is -
1. 4.5
2. 7
3. 8.5
4. 11

Correct answer: 1. 4.5

Explanation: Ans-A i.e., 4.5 Physiological chanses in vaeina durine pres nancy:o The vaginal walls become hypertrophied, edematous and more vascular.o Increased blood supply to venous plexus surrounding the was Us gives bluish colouration of the mucosa jacquemier's sign).o The length of the anterior vaginal wall is increased.o The secretion of vagina becomes copious, thin and curdy white, due to marked exfoliated cells and bacteria,o The pH becomes acidic (3.5 - 6) due to more conversion of glycogen into lactic acid by lactobacillus acidophilus consequent on high estrogen level The acidic pH prevents multiplication of pathogenic organisms,o There is predominance of navicular cells in cluster and plenty' of lactobacilli. Navicular cells are small intermediate cells with elongated nuclei.